HMP shunt is of great importance in cellular metabolism because it produces
1. ATP
2. ADP
3. Acetyl CoA
4. NADPH

Correct answer: 4. NADPH